Which of the following nerve is NOT involved in Swallowing
1. Vestibulocochlear nerve
2. Facial nerve
3. Trigeminal nerve
4. Hypoglossal nerve

Correct answer: 1. Vestibulocochlear nerve

Explanation: (Vestibulocochlear nerve) (224-25, 267-BDC-3 4th) (857-59-Snell 7th)VestibulocochlearComponentsFunctionOpening in skullVestibularSensoryPosition and movement of headInternal acoustic meatusCochlearSensoryHearing